Incidence of preterm delivery in twin pregnancy (MP2008) is:
1. 25%
2. 50%
3. 75%
4. 100%

Correct answer: 2. 50%

Explanation: 50%